Weakness of both Adduction and abduction is seen in
1. Duane's retraction syndrome type 1
2. Duane's retraction syndrome type 2
3. Duane's retraction syndrome type 3
4. Double elevator palsy

Correct answer: 3. Duane's retraction syndrome type 3

Explanation: Ans. c. Duane's retraction syndrome type 3 Weakness of both adduction and abduction is seen in Duane c retraction syndrome type 3. Duane's Retraction Syndrome Congenital strabismus that is usually caused by failure of normal development of the abducens nerve. Absence of the abducens nerve and fascicle with anomalous innervation of the lateral rectus muscle by the oculomotor nerve Patients may have esotropia or exotropia Mostly unilateral, commonly affecting the left eye more than right Characteristic feature of Duane's Retraction Syndrome Retraction of the globe and narrowing of the palpebral fissure during attempted adductionQ. This feature is caused by the simultaneous contraction of the medial and lateral rectus muscle that occurs during attempted adductionQ Duane's Retraction Syndrome Type I (Esotropic Duane's Syndrome) Most common typeQ Absence or limitation of abduction and normal adductionQ Type II (Exotropic Duane's Syndrome) Least common typeQ Limited adduction with normal abductionQ Type III Limitation of both adduction and abductionQ Double Elevator Palsy All horizontal gaze movements are normal. Double elevator palsy (mono ocular elevator palsy) is caused by tight oblique contracted inferior rectus muscle or hypoplastic/ineffective superior rectus muscle